Chronic arsenic poisoning does not cause
1. Mesothelioma
2. Anemia
3. Hyperkeratosis of skin
4. Mixed sensory and motor neuropathy

Correct answer: 1. Mesothelioma

Explanation: ARSENIC Chronic Poisoning:- It may be due to accidental ingestion of repeated small doses or by taking food or drink in which there are traces of drug. systemic effects:- C.N.S.:- Polyneuritis, anaesthesias,paraesthesia. encephalopathy. Skin:- Pigmentation consists of a finely mottled brown change mostly on the skin flexures, temples, eyelids and neck (raindrop type of pigmentation), which persists for many months. There may be a rash resembling fading measles rash. In prolonged contact, hyperkeratosis of the palms and soles with irregular thickening of the nails and development of trasverse white lines in the fingernails called Aldrich-Mees lines is seen. Eyes:- Congestion, watering of the eyes, photophobia. G.I.T.:- Nausea,vomiting, abdominal cramps, diarrhoea, salivation. C.V.S. and kidneys:- Chronic nephritis, cardiac failure, dependent oedema. Hepatic:- Hepatomegaly, jaundice, cirrhosis of the liver. Haematologic:- Bone marrow suppression, hypoplasia, anaemia. thrombocytopaenia, leukaemia. General:- Anaemia and weight loss, loss of hair, brittle nails. Resp system:- Cough, haemoptysis, dyspnoea. Ref:- k s narayan reddy; pg num:-540